The investigation of anterior uveitis of a young boy are –a) HLA B27b) X–ray sacroiliac jointc) TORCH agentsd) ELISA for HIV e) USG abdomen
1. ac
2. a
3. ab
4. bc

Correct answer: 3. ab

Explanation: Investigations used in the evaluation of uveitis
Anterior
Acute:- Urine for WBC, CBC, ESR, CRP, X-ray sacroiliac joint, HLA B-27, Chest X-ray, VDRL & FTA-ABS for syphilis, Serum ACE, Mantoux test
Chronic:- Gonioscopy, Antinuclear antibody
Posterior
Acute:- None
Chronic:- Eosinophil count, serum ACE, ELISA for toxoplasma & toxocariasis, chest X-ray, Mantoux test,
Virus cultures, serum antibodies in suspected cases of CMV, HSV, VZV